In Wilson disease, which of the following is seen?
1. Low ceruloplasmin, high urine copper
2. Low ceruloplasmin, low urine copper
3. High ceruloplasmin, high urine copper
4. High ceruloplasmin, low urine copper

Correct answer: 1. Low ceruloplasmin, high urine copper

Explanation: Investigations in Wilson disease: serum ceruloplasmin - Decreased Urinary copper excretion (Normal <40 mg/day) is increased to >100 mg/day Serum free copper level may be elevated in early Wilson disease Hepatic copper content >250mg/g of dry liver weight Slit lamp examination: Kayser Fleischer Ring